Endemic ascites is caused by -
1. Argemone mexicana seed
2. Khesari dal
3. Jhunjhunia seeds
4. Ergot poisoning

Correct answer: 3. Jhunjhunia seeds

Explanation: Ans. is 'c' i.e., Jhunjhunia seeds